Rule of halves is seen in
1. CHD
2. Hypertension
3. Blindness
4. Accidents and injuries

Correct answer: 2. Hypertension

Explanation: Hypertension is an iceberg disease. Only about half of the hypertensive subjects in general population were aware of the condition, only about half of those aware of the condition was being treated, and only about half of those treated were considered adequately treated.Park 23e pg: 373